In neurapraxia, return of function occurs by:
1. 1 week
2. 2-4 week
3. >4 weeks
4. None of the above

Correct answer: 2. 2-4 week

Explanation: Neurapraxia is defined as the temporary failure of nerve function without physical axonal disruption. Axon degeneration does not occur. Return of normal axonal function occurs over hours to months, often in the 2- to 4-week range. Ref: Schwartz's principle of surgery 9th edition, chapter 42.